Intraepidermal blister formation is seen in
1. Pemphigus Vulgaris
2. Pemphigoid
3. Dermatitis herpetiformis
4. None of the above

Correct answer: 1. Pemphigus Vulgaris

Explanation: Pemphigus vulgaris a. Blisters in pemphigus vulgaris are wiraepidermal while those in bullous pemphigoid are subepidermal. b. Typical acantholytic (Tzanck) cells are seen in pemphigus vulgaris but not in bullous pemphigoid. c. Nikolsky 's sign is positive in pemphigus vulgaris but not in bullous pemphigoid.